Which of the following hormones exerts the least effect on calcium metabolism of bone tissue?
1. Androgen
2. Estrogen
3. Nor epinephrine
4. Thyroid hormone

Correct answer: 3. Nor epinephrine